Major fibril protein in Primary Amyloidosis is -
1. AL
2. AA
3. Transthyretin
4. Procalcitonin

Correct answer: 1. AL

Explanation: pathology text book harshmohan 7th edition. *AA-secondary amyloidosis. *transthyretin- heeditory neuropathic amyloidosis. *procalcitonin-endocrine amyloidosis.